Which of the following is not transmitted by aedes mosquito:
1. Bancroftian filariasis
2. Yellow fever
3. Dengue fever
4. Chikungunya fever

Correct answer: 1. Bancroftian filariasis

Explanation: Ans (a) Bancroftian filariasisRef : K. Park 23rd ed. /270-71, Park 20th/262Bancroftian filariasis is transmitted by Culex Mosquito.Anopheles (Sophisticated mosquito)Culex (nuisance mosquito)Aedes (tiger mosquito)MansonoidesMalaria* Japanese encephalitis* West nile fever* Bancroftian filariasis* Viral arthritis* Yellow fever* Rift valley fever* Chikangunya fever* Dengue* Dengue haemorrhagic feverBrugian filariasis